Delayed removal or absorption of amniotic fluid from pulmonary system results in
1. Respiratory distress syndrome
2. Transient trachypnea of newborn
3. Meconium aspiration syndrome
4. None of the above

Correct answer: 2. Transient trachypnea of newborn

Explanation: Delay in amniotic fluid removal from alveoli results in transient tachypnea of newborn.